Neurological disease associated with the cerebellum produces which type of symptoms?
1. Resting tremor
2. Athetosis
3. Rigidity
4. Ataxia

Correct answer: 4. Ataxia

Explanation: Lesion of cerebellum produces: Hypotonia Ataxia Intention tremor Dysmetria Dysdiadochokinesia Rebound phenomenon Disequilibrium Nystagmus Basal ganglia disorder: Resting tremor (Hallmark of Parkinsonism) Rigidity: cogwheel and lead pipe type Akinesia or bradykinesia Athetosis: Putamen lesion Chorea: Caudate nucleus lesion Hemiballismus: Subthalamic nucleus lesion